An amino acid which does not participate by ahelix formation is:
1. Leucine
2. Glycine
3. Proline
4. Lysine

Correct answer: 3. Proline

Explanation: C i.e. Proline